Which of the following is not a 2 way communication-
1. Lectures
2. Group discussion
3. Panel discussion
4. Symposium

Correct answer: 1. Lectures

Explanation: The flow of communication is one way from the communicator to the audience.The familiar example is the lecture method in class rooms.This is known as Didactic method (refer pgno:855 park 23 rd edition)